EB V causes which of the following -
1. Burkitt's lymphoma
2. Hodgkin's lymphoma
3. Nasopharyngeal carcinoma
4. All of the above

Correct answer: 4. All of the above

Explanation: Ans. is 'd' i.e., All of the above EBV associated maliqnancies# Burkitt's lymphoma# Hodgkin's disease (mixed cellularity type)# T Cell lymphoma# Gastric carcinoma# Angiocentric nasal NK/T cell immunoproliferative lesions# Angioimmuno-blastic lymphadenopathy# Nasopharynageal carcinoma# Tonsillar Carcinoma# Thymoma# CNS lymphoma in AIDS and transplant recipient# LeiomyosarcomaOther associated nonmaliqnant conditions# Oral hairy leukoplakia in AIDS patients# Chronic fatigue syndrome# X-linked lymphoproliferative syndrome (Duncan's disease)